Tetracycline ointment for mass prophylaxis -
1. 0.10%
2. 0.50%
3. 1&
4. 5%

Correct answer: 3. 1&

Explanation: In blanket antibiotic therapy, the regimen is sto apply 1% tetracycline eye ointment twice daily for 5 days in a month for 6 months. Ref: Khurana 7th/e p.72 & 4th/e p.68